Which of the following is not a feature of torus mandibular's?
1. Common in Mongoloids
2. Present on the Lingual surface of mandible below the nnylohyoicl Line
3. Usually Bilateral.
4. May or may not associated with torus palatinus

Correct answer: 2. Present on the Lingual surface of mandible below the nnylohyoicl Line